Material of choice for sealing fresh 2mm perforation is:
1. MTA.
2. Calcium hydroxide.
3. Iodoform
4. ZOE.

Correct answer: 1. MTA.